The organism most commonly causing membranous conjunctivitis is:
1. Moraxella
2. Gonococcus
3. Streptococcus
4. Corynebacterium diphtheria

Correct answer: 4. Corynebacterium diphtheria

Explanation: Corynebacterium diphtheria